During pregnancy, deficiency of which vitamin in women causes neural tube defect in the newborn:
1. Thiamine
2. Pyridoxine
3. Folic acid
4. Cyanocobalamin

Correct answer: 3. Folic acid

Explanation: Ans. C: Folk acid Deficiency of : Thiamine causes Ben Beni, neuritis Pyridoxine causes Convulsion, hyperirritability Folic acid causes sprue, Anemia and neural tube defect in the newborn born to folate-deficient mothers Cyanocobalamin causes pernicious anemia, loss of vibration and position sense, dementia, abnormal gait